HLA is present on chromosome:
1. Short arm chromosome 6
2. Long arm chromosome 6
3. Short arm chromosome 3
4. Long arm chromosome 3

Correct answer: 1. Short arm chromosome 6

Explanation: Short arm chromosome 6